Chromic catgut suture has added advantage that is:
1. Delayed resorption.
2. No resorption.
3. Early resorption.
4. Greater adherence.

Correct answer: 1. Delayed resorption.

Explanation: The chromic catgut contains the chromic salt solution to delay absorption.